Tetanus is caused by -
1. Cl. Tetani
2. Cl. Welchii
3. Cl. edematiens
4. Cl. Septicum

Correct answer: 1. Cl. Tetani